True statement about Puetz Jegher syndrome is
1. Autosomal recessive inheritence
2. Ileum is the most common site
3. Caused by gain of function mutation of STK 11
4. Increased risk of sex cord tumors

Correct answer: 4. Increased risk of sex cord tumors

Explanation: Puetz Jegher syndrome

Autosomal dominant inheritence.
Jejunum is the most common site.
Caused by loss of function of STK 11.
Increased risk of sex cord tumours, small intestinal, pancreatic, breast, lung and ovarian cancer.